All are features of seronegative spondyloarthropathies except -
1. Uveitis
2. RA factor positive
3. HLA-B27 positive
4. Occur in young age

Correct answer: 2. RA factor positive

Explanation: Ans. is 'b' i.e., RA factor positive Seronegative spondyloarthropathies o The seronegative spondyloarthropathies are a group of disorders that share certain clinical features and genetic associations. The word seronegative refers to the absence of rheumatoid factor in this group of disorders. The seronegative spondyloarthropathies include - Ankylosing spondylitis Reactive arthritis - Reiter syndrome and enteritis associated arthritis Psoriatic arthritis Arthritis associated with inflammatory bowel disease, i.e. enteropathic arthritis Features of seronegative spondyloarthropathies o Onset usually before 40 years o The absence of RA factor o HLA - B2 7 positive o Presence of uveitis